Investigation of choice in discrete thyroid swellings
1. USG
2. FNAC
3. Biopsy
4. RAI

Correct answer: 2. FNAC

Explanation: Ans. (b) FNACRef: Bailey and Love page 751/26th edition* Fine-needle aspiration cytology is the investigation of choice in discrete thyroid swellings* A discrete swelling in an otherwise impalpable gland is termed isolated or solitary, whereas the preferred term is dominant for a similar swelling in a gland with clinical evidence of generalised abnormality in the form of a palpable contralateral lobe or generalised mild nodularity.* About 70 per cent of discrete thyroid swellings are clinically isolated and about 30 per cent are dominant